Nucleoside reverse transcriptase inhibiting drug, which is a guanosine analogue:
1. Ritonavir
2. Zidovudine
3. Abacavir
4. Acyclovir

Correct answer: 3. Abacavir

Explanation: Ans: C i.e. Abacavir Anti-viral drugs and mechanism of action Ritonavir is a potent retroviral protease inhibitor Zidovudine is a thymidine analogue, the prototype of nucleoside reverse transcriptase inhibitors (NRTI) Abacavir, a guanosine analogue (nucleoside reverse transcriptase inhibitors), is a potent ARV drug that acts after intracellular conversion to carbovir triphosphate. Acyclovir is a deoxiguanosine analogue antiviral drug (anti-herpes), which requires a virus specific enzyme for conversion to the active metabolite that inhibits DNA synthesis and viral replication